Smiling and frowning are actions produced by the following nerves:
1. Mastication; trigeminal (V cranial)
2. Mastication; facial (VII cranial)
3. Facial expression; trigeminal (V cranial)
4. Facial expression; facial (VII cranial)

Correct answer: 4. Facial expression; facial (VII cranial)